On X-ray, right border of the mediastinum is formed by all the following except:
1. Superior vena cava
2. Right atrium
3. Right ventricle
4. Right brachiocephalic vein

Correct answer: 3. Right ventricle

Explanation: Ans. Right ventricle